Cells that are identified by presence of immunoglobulins on the surface are?
1. Neutrophils
2. B-cells
3. NK cells
4. Monocytes

Correct answer: 2. B-cells

Explanation: Ans. (b) B-cells(Ref: Robbins 9th/pg 191; 8th/pg 187)B-cells have IgM and IgG on the surface of cells, which are used to identify them